The branches of anterior division of internal iliac artery include all except
1. lnternal pudendal
2. Superior gluteal
3. Uterine
4. Obturator

Correct answer: 2. Superior gluteal

Explanation: * Internal iliac artery arises at the bifurcation of the common iliac, artery, Opposite the lumbosacral joint (L5/S1 intervertebral disc) Division Branch Posterior Iliac artery * Superior gluteal artery * Iliolumbar artery * Lateral sacral arteries Anterior Iliac Artery- about 8 branches * Obturator artery (occasionally from inferior epigastric artery) * Inferior gluteal artery * Umbilical artery, which later persist as superior vesical artery (remaining artery becomes medial umbilical ligament). * Uterine artery (females) or deferential artery (males) Vaginal artery (females, can also arise from uterine artery) or inferior vesical artery (males) * Middle rectal artery * Internal pudendal artery * Artery of the perineum * Accessory obturator artery: The obturator artery sometimes arises from the main stem or from the posterior trunk of the internal iliac, or it may spring from the superior gluteal artery; occasionally it arises from the external iliac